3rd person auditory hallucinations are common in which of the following disorder?
1. Schizophrenia
2. OCD
3. Alcohol intoxication
4. LSD intoxication

Correct answer: 1. Schizophrenia

Explanation: In schizophrenia, 3rd person running commentary about the person's actions are most common hallucinations. Ref: Essentials of postgraduate psychiatry By JN Vyas 1st ed Pg 398